All of the following are mediators of inflammation, except:
1. Tumour necrosis factor-a (TNF-a)
2. Interleukin-1
3. Myeloperoxidase
4. Prostaglandins

Correct answer: 3. Myeloperoxidase

Explanation: Inflammatory mediators are the substances that initiate and regulate inflammatory reactions. The most important mediators of acute inflammation are vasoactive amines, lipid products (prostaglandins and leukotrienes), cytokines (including chemokines), and products of complement activation. Myeloperoxidase (MPO) is an enzyme present in primary (or azurophilic) granules of the neutrophils and takes part in formation of reactive oxygen species. In the presence of a halide such as Cl-, MPO converts H2O2 to HOCl. (Hypochlorous radical) is used during the process of respiratory burst.